Least common mode of transmission of HIV -
1. Homosexual contact
2. Heterosexual
3. IV drug abuse
4. Transfusion of blood products

Correct answer: 4. Transfusion of blood products

Explanation: Ans-DMost common route: Heterosexual (88%)Least common route: blood mediated (1%)Risk of transmission:blood transfusion (>90%)perinatal (25-30%)drug abusers (3%)sexual route (0.01-1%)Needle prick/ skin injury (0.4%)mucous membrane (0.05%)Highest prevalence: drug abusers (9%)General prevalence 0.28%What can be deduced from the above is that heterosexual contact with the source person is the most common route of transfer, nevertheless the chance of transmission is less in heterosexual route, wherein this chance chance of transmission is highest in blood or blood product transfusion related catastrophe.Every third of infected HIV mother gives birth to a child with HIV. But the current consensus in India is though the mother is HIV positive and the child has chances of getting HIV if breast fed from the mother, they are encouraged to breast feed the child, for the child experiences more morbidity of malnutrition if not breast fed which could be more dangerous and lead to several other plethora of diseases. This is in the cases when there is no one else to breast feed the baby.